Common findings in hemochromatosis include all of the following Except
1. Diabetes mellitus
2. Diabetes insipidus
3. Impotence
4. Hepatocellular carcinoma

Correct answer: 2. Diabetes insipidus

Explanation: In hemochromatosis, the principal organs involved with excessive iron storage, leading to parenchymal damage and fibrosis, are the liver, pancreas, heart, and gonads.Diabetes occurs in the majority of patients and more than 80% demonstrate abnormalities of glucose tolerance. Testicular atrophy and fibrosis cause impotence.Diabetes insipidus does not occur because the pituitary and hypothalamus are not involved. Cirrhosis is usually present when the diagnosis is established, and hepatocellular carcinoma develops in 25 to 40% of patients.Chondrocalcinosis (pseudogout) is found in 25 to 50% of patients. Other common manifestations include cardiac involvement with congestive heart failure and arrhythmias.Melanin deposition causes increased skin pigmentation with a characteristic slate grey colour.